Aortic regurgitation is seen in all except-
1. Rheumatic fever
2. Infective endocrditis
3. Marfan syndrome
4. Myocardial infarction

Correct answer: 4. Myocardial infarction

Explanation: Aortic regurgitation Valvular Congenital (bicuspid) Endocarditis Rheumatic fever Myxomatous (prolapse) Traumatic Syphilis Ankylosing spondylitis Root disease Aortic dissection Cystic medial degeneration Marfan's syndrome Bicuspid aortic valve Nonsyndromic familial aneurysm Aortitis Hypertension ( Harrison's principle of internal medicine,18th edition,pg no. 1930)